IL-1 is the principle chemical mediator of -
1. Fever
2. Itching
3. Vasoconstriction
4. Chemotaxis

Correct answer: 1. Fever

Explanation: Ans. is 'a' i.e., Fever "IL-l and TNF-a are the two most important pyrogenes " -- Physiology basics.